A 25-year-old patient with a 2-cm painful abscess in perianal region for 1 day. The patient does not have fever or leukocytosis. Which space is this lesion in? SELECT ONE.
1. Supralevator space
2. Perianal space
3. Levator ani muscle
4. Intermuscular space

Correct answer: 2. Perianal space

Explanation: Perianal abscess is most common type of anorectal abscess. It is superficial and lies in perianal space. Duration of symptoms is short and patient is unlikely to have fever or leukocytosis.